All are true about psedomyxoma peritonei except
1. Associated with ovarian tumours
2. Appendicitis
3. Yellow jelly collection of fluid
4. Common in male

Correct answer: 4. Common in male

Explanation: Ans. is 'd' i.e., Common in male